According to National Health Policy 2002, which of the following is to he eliminated in 2015 -
1. Malaria
2. Yaws
3. Leprosy
4. Filariasis

Correct answer: 4. Filariasis

Explanation: Ans. is 'd' i.e., Filariasis